2nd constriction of esophagus is caused by -
1. Left bronchus
2. Arch of aorta
3. Diaphragm
4. Lower sphincter

Correct answer: 2. Arch of aorta

Explanation: Ans. is 'b' i.e., Arch of aorta o 2nd constriction is at T4 level where arch of aorta crosses esophagus. Esophageal constrictionsNumberDistance from incisorBony levelAnatomical landmark1st15 cm (6 inches)C6At its beginning (pharyngo-esophageal junction)2nd22[?]5 cm (9 inches)T4Crossing of aortic arch3rd27[?]5 cm (11 inches)T6Crossing of left main bronchus4th37[?]5 - 40 cm (15-16 inches)T10Piercing diaphragm (at lower esophageal sphinctor)